In a patient with NIDDM which of the following condition is seen :
1. Ketosis commonly occurs on stopping treatment
2. Hypertriglyceridmia never occurs
3. Pancreatic beta cells stop producing insulin
4. Increased levels of insulin in blood, may be seen

Correct answer: 4. Increased levels of insulin in blood, may be seen

Explanation: Answer is D (Increased levels of insulin in blood may be seen): The prominent mechanism involved in pathogenesis of NIDDM is 'insulin resistance' i.e. the decreased ability of insulin to act effectively on peripheral tissues. This insulin resistance is relative and supra normal levels of insulin are still capable of normalizing blood glucose. In NIDDM (type II DM) insulin secretion initially increases in response to insulin resistance to maintain normal glucose levels in blood. Thus increased levels of insulin in blood may be seen in patients with NIDDM or type II DM. Pancreatic 1 cells respond by an initial increase in insulin secretion. They are however unable to maintain there hyperinsulinemia for long and gradually as the disease progresses insulin levels decline. Secretion of insulin from )6' cells may thus decrease but it never stops completely. Ketosis or diabetic Ketoacidosis is an acute metabolic complication of diabetes mellitus. It is typically seen in patients of type I D.M or IDDM who either are untreated, inadequately treated or have stopped treatment-API 7th/1113 Individuals with DM may have several forms of dyslipidemia Dplipidentias are more frequent in type II DM or NIDDM The most common patterns of dyslipidemia is hyperiglyceredemia & reduced HDL cholestrol